Epstein-Barr virus causes all the following EXCEPT:
1. Burkitt's lymphoma
2. Nasopharyngeal carcinoma
3. Carcinoma cervix
4. Infectious mononucleosis

Correct answer: 3. Carcinoma cervix

Explanation: Ans. c (Carcinoma cervix). (Ref. Harrison, 17th/Table 105-4; Microbiology by Anantanaray an, 6th/448). Infectious AgentLymphoid Malignancy1.Epstein-Barr virus (EBV)Burkitt's lymphomaPost-organ transplant lymphomaPrimary CNS diffuse large B cell lymphomaHodgkin's diseaseExtranodal NK/T cell lymphoma, nasal type2.HTLV-IAdult T cell leukemia/lymphoma3.HIVDiffuse large B cell lymphomaBurkitt's lymphoma4.Hepatitis C virusLymphoplasmacytic lymphoma5.Helicobacter pyloriGastric MALT lymphoma6.Human herpesvirus 8Primary effusion lymphomaMulticentric Castleman's diseaseEducational point:# Carcinoma cervix is supposed to be caused by HPV 16, 18, 31, 33.